Stimulation of ovary in the early follicular phase is by:
1. Oestrogen
2. Progesterone
3. FSH
4. LH

Correct answer: 3. FSH

Explanation: Stimulation of ovary in early follicular phase is by FSH, as the growth and differentiation of primordial follicles are under the control of FSH. Presence of FSH prevents follicles from undergoing Atresia. Stimuation of ovary in later follicular phase is predominantly by FSH but also LH is required in later follicular stage for the final maturity of the follicle before rupture.